In which type of necrosis tissue architecture is preserved:
1. Liquefaction necrosis.
2. Coagulative necrosis.
3. Fat necrosis.
4. All of the above.

Correct answer: 2. Coagulative necrosis.

Explanation: Tissue Architecture is preserved only in Coagulative necrosis.